Spacing in anterior teeth in deciduous dentition
1. Common and desirable
2. Uncommon and undesirable
3. Common and undesirable
4. Uncommon

Correct answer: 1. Common and desirable